Leprosy commonly affects all organs except:
1. Ovary
2. Skin
3. Nerves
4. Eye

Correct answer: 1. Ovary

Explanation: Ovary